In action potential of nerve the overshoot is
1. Above Iso-potential
2. Below Iso-potential
3. Below resting membrane potential
4. Above resting membrane potential

Correct answer: 1. Above Iso-potential

Explanation: Over shoot is produced due to opening of sodium channals and depolarization It is about the threshold level Ref:Guyton and Hall textbook of medical physiology 12th edition,page number: 66